Hamartoma is-
1. Malignant tumor
2. Metastatic tissue
3. Development malformation
4. Hemorrhage in vessel

Correct answer: 3. Development malformation

Explanation: Harshmohan textbook of pathology 7th edition. harmartoma is being tumor made of mature but disorganised cells of tissues indigenous to the particular organ e.g., hamartoma of the lung consists of mature cartilage, mature smooth muscle and epithelium..